Based on the type of life cycle, Zoonoses are classified into all of the following except
1. Cyclo-Zoonoses
2. Meta-Zoonoses
3. Anthropo-Zoososes
4. Sapro-Zoonoses

Correct answer: 3. Anthropo-Zoososes

Explanation: Based on the type of life cycle, Zoonoses are classified into Direct zoonosis Cyclo zoonosis Meta zoonosis Sapro zoonosis Reference; Park's Textbook of Preventive and Social medicine; 24th edition; Page no. 294